Which cells are referred as "Pacemaker cells" with relation to 'BER'?
1. SA node
2. AV node
3. Interstitial cells of Cajal.
4. Pyramidal cells

Correct answer: 3. Interstitial cells of Cajal.

Explanation: Interstitial cells of Cajal Basic Electrical Rhythm (BER): Smooth muscle cells of the gastrointestinal tract have spontaneous rhythmic fluctuations in membrane potential between about -65 and -45 mV. BER initiated by Pacemaker cells called "Interstitial cells of Cajal". Pacemaker cells - Interstitial cells of Cajal. Stellate mesenchymal cells with smooth muscle-like features. Location: Are absent in esophagus & proximal stomach. In distal stomach & small intestine - Located in outer circular muscle layer near myenteric plexus. In colon - Located at the submucosal border of circular muscle layer. Frequency: In Stomach & small intestine - Pacemaker frequency is in descending gradient. Pacemaker with the highest frequency usually dominates (Eg., In Heart).